Medial boundary of the anatomical snuffbox is formed by:
1. Extensor pollicis brevis
2. Extensor carpi radialis longus
3. Extensor pollicis longus
4. Extensor carpi radialis brevis

Correct answer: 3. Extensor pollicis longus

Explanation: Anatomical snuff box is lined posteromedially - extensor Pollicis longus Anterolaterally - extensor pollicis brevis and abductor pollicis longus. floor - scaphoid,trapezium, base of 1st metacarpal and styloid process of radius. content - radial artery (Pulse can be felt by palpating radial artery against scaphoid bone.